Gynaecomastia is seen in:a) Secondary syphilisb)  Lepromatous leprosyc) HIVd) Klinefelter's syndrome
1. bcd
2. acd
3. ac
4. bd

Correct answer: 1. bcd